Cloudy swelling is due to
1. Accumulation of water intracellularly
2. Lysozyme degeneration
3. Fat accumulation intracellularly
4. Glycogen accumulation

Correct answer: 1. Accumulation of water intracellularly